Principles of Linear accelerators is used in
1. X-rays
2. Gamma - rays
3. Alpha rays
4. Infrared rays

Correct answer: 1. X-rays